A 20yr old P1L1 with RhD negative pregnancy had a spontaneous vaginal delivery. Her baby is RhD positive. Anti D Ig should be administered within
1. 72 hours
2. 7 days
3. 10 days
4. 30 days

Correct answer: 1. 72 hours

Explanation: * For successful immunoprohylaxis anti D Ig should be given as soon as possible after the sensitizing event but always within 72hours * If not given within 72hours, effort should still be made to give anti D Ig, as a dose given within 9 to 10 dose will offer some protection * Women who is already sensitized should not be given anti D Ig Reference: Greentop guidelines no 22